Optic atrophy is characteristic feature of poisoning by
1. Lead
2. Phosphorus
3. Ethyl alcohol
4. Methyl alcohol

Correct answer: 4. Methyl alcohol

Explanation: (D) Methyl alcohol # Ocular features of Methyl alcohol poisoning:> Visual disturbances like photophobia and blurred or misty vision (snowfield vision), seeing spots, central and peripheral scotomata decreased light perception concentric diminution of visual fields for colour and form, followed by fairly sudden failure of vision or complete blindness occur due to optic neuritis and atrophy from the effects of formic acid on the optic nerve.